Regarding obesity syndromes, determine the true / false statements: a) Prader-Willi syndrome has normal stature with truncal obesity b) Laurence-Moon-Biedl is autosomal; polydactyly is seen c) Ahlstrom's syndrome patients has moderate intellectual disability d) Cohen's syndrome- Patients will have craniofacial anomalies and delayed puberty e) Carpenter's syndrome have secondary hypogonadism
1. b,d,e-True & a, c- False
2. a,c,d,e-True & b- False
3. b,c,d,e-True & a- False
4. b,c,d-True & a,e- False

Correct answer: 1. b,d,e-True & a, c- False

Explanation: Prader-Willi syndrome is sporadic inheritance, short statured with generalised obesity. Primary gonadism and moderate intellectual disability is seen. Ahlstrom's patients will have normal intelligence. Ref: Harrisons Principles of Internal Medicine, 18th Edition, Page 626 Table 77-2 A Comparison of Syndromes of Obesity--Hypogonadism and Intellectual Disability.